Which of the following statement is true regarding subclavian steal syndrome
1. Reversal of blood flow in the ipsilateral vertebral artery
2. Reversal of blood flow in the contralateral carotid artery
3. Reversal of blood flow in the contralateral vertebral artery
4. Bilateral reversal of blood flow in the vertebral arteries

Correct answer: 1. Reversal of blood flow in the ipsilateral vertebral artery

Explanation: Subclavian steal syndrome may occur if it is the first part of the subclavian artery that is obstructed, with the vertebral artery providing a collateral circulation into the arm by reversing its direction of flow. It is associated with neck pathology like cervical rib.This may cause periods of cerebral ischaemia. However, the classic syndrome of syncopal attack and visual disturbance associated with arm exercise and a diminished blood pressure in the affected limb is rare,asymptomatic reversal of flow in the vertebral artery is much more common. In symptomatic patients, PTA or operation is indicated. Reference:Bailey & Love's short practise of surgery,25th edition,page no:909